Early loss of bladder control is seen in
1. Conus medullaris
2. Cauda equina
3. Gullain bane syndrome
4. Amyotrophic lateral sclerosis

Correct answer: 1. Conus medullaris

Explanation: Ans. is 'a' i.e., Conus medullaris Loss of bladder control is an early and marked feature of conus medullaris.